Mostly death in PEM is due to all except?
1. Hypothermia
2. CCF
3. Worm infestation
4. Electrolyte imbalance

Correct answer: 3. Worm infestation

Explanation: Ans. is 'c' i.e., Worm infestation